Lymphatic drainage of lateral wall of nose
1. Submandibular nodes
2. Retropharyngeal nodes
3. Deep cervical nodes
4. All of the above

Correct answer: 4. All of the above

Explanation: Ans. is 'd' i.e., All of the aboveLymphatic drainage of nose is BY Anterior half of nasal cavity (Both septum and lateral wall) -s Submandibular nodesPosterior half of nasal cavity (Both septum and lateral wall)Retropharyngeal nodes and upper deep cervical nodes.